Left Kidney is preferred for transplantation because
1. Longer renal Vein
2. Higher location
3. Ease of surgery due to anatomical relations
4. To prevent damage to liver

Correct answer: 1. Longer renal Vein

Explanation: The left kidney is preferred because of implantation advantages associated with a longer renal vein making anastomosis easier Also know, procurement of kidney, In a brainstem dead donor, the organ to be procured should be preserved to maintain its functional integrity. For this purpose the organ should be perfused with organ preservative solution twice before it is transplanted to the recipient. The first perfusion is done just after the abdomen is opened at laporotomy and the second perfusion is done just after the organ has been removed from the donor. Commonly used preservative solutions include UW solution (University of Wisconsin) and Eurocollins solution. After removal from the donor, the organ is placed in two sterile bags and stored at 0-4degC by immersion in ice while they are transported to the recipient centre Ref srb's manual of surgery 5e p993 , Internet